Which of the following reflexes is monosynaptic?
1. Achilles
2. Babinski
3. Corneal
4. Extensor plantar

Correct answer: 1. Achilles

Explanation: The Achilles reflex, or ankle jerk reflex, is a myotatic monosynaptic (stretch) reflex that is mediated by cord segment S1. It is the simplest reflex arc in which there is a single synapse between the afferent and efferent neurons. Reflex arcs in which interneurons are interposed between the afferent and efferent neurons are called polysynaptic reflexes. Some important myotatic reflexes: Biceps (C5, C6 spinal nerve); Triceps (C7 spinal nerve); Patellar (L4 spinal nerve).